A patient presents with lower gastrointestinal bleed. Sigmoidoscopy shows ulcers in the sigmoid. Biopsy from this area shows flask-shaped ulcers. Which of the following is the most appropriate treatment ?
1. Intravenous ceftriaxone
2. Intravenous metronidazole
3. Intravenous steroids and sulphasalazine
4. Hydrocortisone enemas

Correct answer: 2. Intravenous metronidazole

Explanation: Ans. is `b' i.e., Intravenous metronidazole Lower gastrointestinal bleeding along with the presence of flask shaped ulcers on sigmoidoscopy confirms the diagnosis of intestinal amoebiasis (Amoebic colitis). Drug therapy for Amoebiasis Asymptomatic carrier (Luminal agents) * lodoquinol * Paromomycin 650 mg t.i.d. for 20 days 500 , '0 day.s. Acute colitis * Metronidazole * plus Luminal agents as above 750 mg PO or IV tid for 5-10 days Amoebic liver abscess * Metronidazole or * Tinidazole or * Ornidazole * plus Luminal agent as above 750 mg PO or IV tid for 5-10 days 2gPO 2 g PO once